S.A. node is pacemaker in heart because
1. It is only excitable
2. Its resting excitability is highest of all
3. It is only sensitive to vagus
4. It is the biggest pacemaker

Correct answer: 2. Its resting excitability is highest of all